All of the following anticancer agents cause bone marrow suppression except
1. Chlorambucil
2. Danorubicin
3. Doxorubicin
4. Flutamide

Correct answer: 4. Flutamide

Explanation: Refer KDT 6/e p828 Flutamide is an anti androgen .most hormonal agents Alkylating agents ,Antimetabolites b, natural products and other directly cytotoxic agents are Myelosuprresants. Vincristine and Bleomycin are marrow sparing